Which of the following antitubercular drugs is safe in hepatitis
1. Isoniazid
2. Rifampicin
3. Pyrazinamide
4. Ethambutol

Correct answer: 4. Ethambutol

Explanation: Refer Katzung 10/e p 774 KDT 6/e p742 Isoniazid, Rifamipicin,pyrazinamide can cause hepatotoxicity Ethambutol and Streptomycin do not cause hepatotoxicity